Vitamin deficient is most commonly seen in a pregnant mother who is on phenytoin therapy for epilepsy?
1. Vitamin B6
2. Vitamin B12
3. Vitamin A
4. Folic acid

Correct answer: 4. Folic acid

Explanation: Phenytoin interferes with metabolism of folate and patients taking phenytoin may become deficient in folic acid. Phenytoin decreases absorption of folic acid and increases its excretion. Ref: Advanced Therapy in Epilepsy By Wheless, James W. Wheless, James Willmore, Roger A. Brumback, 2009, Page 259.